The hormone which helps in milk secretion:
1. Oxytocin
2. Growth hormone
3. FSH
4. Prolactin

Correct answer: 4. Prolactin

Explanation: Ans. D: Prolactin Prolactin causes milk secretion from the breast after estrogen and progesterone priming. Its effect on the breast involves increased action of mRNA and increased production of casein and lactalbumin. Prolactin also inhibits the effects of gonadotropins, possibly by an action at the level of the ovary. The function of prolactin in normal males is unsettled, but excess prolactin secreted by tumors causes impotence. Remember oxytocin causes Ejection of milk.